A 10 years old boy comes to the clinic presenting with a distal step molar relation in the mixed dentitional stage. He would most probably need which of the following appliances?
1. Nance holding arch
2. Oral screen
3. Functional regulator
4. Space maintainers

Correct answer: 3. Functional regulator

Explanation: Nance holding arch is a space maintainer. The boy in this case is having class III tendency. So a myofunctional appliance is required to correct this. Oral screen is used to intercept habits, to perform muscles exercises and to correct mild anterior proclination.